True regarding isozymes is:
1. Forms of the same enzymes that catalyze different reaction
2. Forms of the same enzymes that catalyze same reaction
3. Forms of the different enzymes that catalyze different reaction
4. Forms of the different enzymes that catalyze same reaction

Correct answer: 2. Forms of the same enzymes that catalyze same reaction

Explanation: Isozymes/Isoenzymes are different forms of same enzyme,catalyzing same reaction in same species, Example:- There are five isozymes of Lactate Dehydrogenase (LDH-1 to LDH-5), All convert Pyruvate to Lactate. Same for Isoenzymes Reaction Species Different for Isoenzymes Structure (subunits) Km, Vmax Electrophoretic mobility Genes (but closely relate) Heat stability Susceptibility to inhibitor If species different, then it is known as Alloenzyme Isoenzymes may be present in same/different tissues